A child is brought to the paediatric OPD with fever of 24 hours duration. History reveals 3 episodes of chest infection and passage of foul smelling stools. The most probable diagnosis is –
1. Cystic Fibrosis
2. Maple Syrup urine Disease
3. Bilirubin Congugation Defect
4. Criggler Najar Syndrome

Correct answer: 1. Cystic Fibrosis

Explanation: Recurrent chest infection in a child with evidence of exocrine pancreatic insufficiency (bulky, foul smelling stool) suggest a diagnosis of cystic fibrosis.